Which of the following factor is determined by higher auditory centre in normal individuals?
1. Sound frequency
2. Loudness
3. Speech pitch
4. Sound localization

Correct answer: 4. Sound localization

Explanation: Determination of the direction from which a sound emanates in the horizontal plane depends on detecting the difference in time between the arrival of the stimulus in the two ears. Neurons in the auditory cortex that receive input from both ears respond maximally or minimally when the time of arrival of a stimulus at one ear is delayed by a fixed period relative to the time of arrival at the other ear.